All of the following are seen in the Horner's syndrome, except
1. Drooping of upper eyelid
2. Enophthalmos
3. Dilated pupil
4. Loss of sweating of same side of face

Correct answer: 3. Dilated pupil

Explanation: Ref: BD Chaurasia's HUMAN ANATOMY, Volume 3, 4th edition. Horner's syndrome is characterized by (a) Ptosis i.e. drooping of the upper eyelid); (b) miosis (i.e. constriction of the pupil); (c) anhydrosis (i.e. loss of sweating on that side of the face); (d) enophthalmos (i.e. retraction of the eyeball); (e) loss of the ciliospinal reflex (i.e. pinching the skin on the nape of the neck) does not produce dilatation of the pupil (which normally takes place). Horner's syndrome can also be caused by a lesion within the central nervous system anywhere at or above the first thoracic segment of the spinal cord involving sympathetic fibres. Horner's syndrome is due to involvement of sympathetic pathways in the medulla.